"Time of Flight" technique is used in
1. HRCT
2. MR imaging
3. Spiral CT
4. Conventional radiography

Correct answer: 2. MR imaging

Explanation: Time of Flight is used in MR imaging.